SARS true are -a) Severe acute respiratory syndromeb) Documented respiratory route spreadc) Effective vaccine availabled) Cause atypical pneumonitise) Group coronavirus
1. abde
2. bcde
3. acde
4. cde

Correct answer: 1. abde